Eednaton agent is:
1. Corynebacterium
2. Pseudomonas
3. Mycoplasma
4. Gonococcus

Correct answer: 3. Mycoplasma

Explanation: Mycoplasma